All of the following are true about inverted papilloma except-
1. Most common in females
2. Arises from lateral wall of nose
3. Can causes epistaxis
4. Recurrent in nature even after removal

Correct answer: 1. Most common in females